Macrocytic anaemia is noted with all of the following except :
1. Phenytoin
2. Methotrexate
3. Pyrimethamine
4. Ciprofloxacin

Correct answer: 4. Ciprofloxacin